The disorder in which the nail grows into the edge of the nail grooves causing ingrown toe nails is called:
1. Leukonychia
2. Onychauxis
3. Onychocryptosis
4. Onychogryphosis

Correct answer: 3. Onychocryptosis

Explanation: Onychocryptosis (ingrowing toe nail) is frequently caused by improper nail- cutting technique, when a spike of nail is left behind at the side of the nail. As the nail plate grows forward the spike is pushed into the nail sulcus (the groove of flesh at the side of the nail). The great toe nail is most often affected. . Onychogryphosis (club or ram horn nail) is longstanding hypertrophy of the nail plate with curving deformity. The normal nail slids forward as a thin plate, in onychogryphosis the nail heaps up and curls over the end of the toe, resembling a claw or horn. Leukonychia is white spots on nail, and are probably the most common nail change. Onychauxis is a condition in which the nail plate is vertically thicker than normal without deformity. It occurs due to thick hyperkeratotic nails caused by a buildup of keratin. The most common cause is a dermatophyte infection, and other known cause is psoriasis.